Which of the following is true about risk factor for malignancy in polyp
1. Pedunculated polyp
2. Villous polyp
3. Tubular polyp
4. Single polyp

Correct answer: 2. Villous polyp

Explanation: Villous polyp is more pre malignant than tubular polyp.